All the following are features of Down syndrome except:
1. Brushfield's spots in iris
2. Simian crease
3. Intellectual disability
4. Hypertonia

Correct answer: 4. Hypertonia

Explanation: d. Hypertonia(Ref: Nelson's 20/e p 610-615, Ghai 8/e p 637-639)Hypotonia is a feature of Down syndrome and not hypertoniaImportant clinical features of Down SyndromeI C a PROBLEM SomewhereIncurved 5th finger (clinodactylyQ/Intellectual disabilityCongenital heart diseaseQAcute Leukemia/Alzheimer's diseaseQ/Atlantoaxial instabilityQProtruding tongueRound faceOcciput flat/Open, wide fontanelleQBrushfield spots in irisQ/BrachycephalyLow (depressed) nasal bridgeEpicanthic foldQ/Ears low-set & dysplasticMonogoloid slantQ/Intellectual disabilitySandle gapQ/Simian palmar creaseQ